Healthy carriers are seen in all except ?
1. Polio
2. Meningococci
3. Measles
4. Cholera

Correct answer: 3. Measles

Explanation: Ans. is 'c' i.e., Measles